A 60 year old male patient complains of food lodgment in upper right back teeth region. Patient gives h/o RCT with 16 and 17. Crown cutting was done with 16 and 17 and impression was taken with type V gypsum product. The setting expansion of this gypsum material is-
1. 0.10%
2. 0.15%
3. 0.30%
4. 0.20%

Correct answer: 3. 0.30%

Explanation: The setting expansion has been increased from a maximum of 0.10% to 0.30%. The rationale for increasing setting expansion is that certain newer alloys, such as base metal, have a greater casting shrinkage than do the traditional noble metal alloys. Thus, higher expansion is required in the stone die to aid in compensating for the alloy solidification shrinkage.